Neural tube defects is prevented by
1. Folic acid
2. Vitamin B12
3. Vitamin B6
4. Vitamin - C

Correct answer: 1. Folic acid

Explanation: (Folic acid) (343 - Dutta 6th)Pre pregnancy folic acid therapy (4mg daily) is given when there is any history of neural tube defects in previous birth. Therapy is started 1 month before conception and is continued in the first trimester